A tableau was held in a village to educate the villagers about early detection of oral cancer. This type of health education is called:
1. Symposium
2. Seminar
3. Role play
4. Learning by doing

Correct answer: 3. Role play

Explanation: Role-playing / Sociodrama: 

The size of the group should be about 25. The audience should take an active part by suggesting alternative solutions and even by taking part in the drama.
The situation is dramatized to make communication more effective.
It is followed by a discussion of the problem.
Puppet shows used in villages is a type of sociodrama.
Useful for children's health education.

Reference: Essentials of Preventive and Community Dentisitry, Soben Peter , 4th ed page no 216